The degree of diplopia in maxillofacial trauma can accurately recorded by:
1. Glassgow scale.
2. Hess chart.
3. Force duction test.
4. None.

Correct answer: 2. Hess chart.